Glucose is reabsorbed in which part?
1. Early PCT
2. Henle loop
3. Collecting duct
4. Distal convoluted tubule

Correct answer: 1. Early PCT

Explanation: Part Reabsorption Secretion PCT Glucose 100% Amino acid 100% Na along with glucose by SGLT 2 Chloride (manly in late part of PCT ) Bicarbonate Bile salts Hydrogen ion Creatinine Uric acid Drugs LOOP OF HENLE Descending limb - water Ascending limb - Na , k , Cl by 1NA 2Cl 1k cotransporter , Slight reabsorption of cation such as Mg , Ca also Hydrogen ion by Na H PUMP DISTAL TUBULE 5% sodium and chloride by sodium chloride cotransport LATE DISTAL TUBE & COLLECTING DUCT Principle cell - reabsorb sodium and water Intercalated cell - reabsorb potassium ions Principle cell secrete potassium ions Intercalated cell-hydrogen ions